Hypercalcemia is associated with all Except:
1. Hyperparathyroidism
2. Sarcoidosis
3. Milk alkali syndrome
4. Celiac disease

Correct answer: 4. Celiac disease

Explanation: Answer is D (Celiac disease): Celiac disease is not a cause for hypercalcemia. Hyperparatlzyroidism, Sarcoidosis and Milk alkali syndrome, may all lead to hypercalcemia.